Most common hormone deficiency seen after intracranial radiation therapy
1. >Prolactin
2. >Gonadotropins
3. ACTH
4. >Growth hormone

Correct answer: 4. >Growth hormone

Explanation: Growth hormone Harrison writes ? "Cranial irradiation may result in long-term hypothalmic and pituitary dysfunction, especially in children and adolescents. The development of hormonal abnormalities correlates strongly with irradiation dosage and the time interval after completion of radiotherapy. The development of hypopituitarism occurs after 5 to 15 years and usually reflects hypothahnic damage rather than absolute destruction of pituitary cells Though the pattern of hormone loss is variable, GH deficiency is most common, followed by gonadotropin and ACTH deficiency"